Sodium content of one liter of isotonic saline is:-
1. 140 mEq
2. 154 mEq
3. 40 mEq
4. 70 mEq

Correct answer: 2. 154 mEq

Explanation: Sodium content of one liter of isotonic saline is 154 mEq. Composition of crystalloid and colloid solutions (mM/L) Solution Na+ K+ Ca2+ Cl- Lactate Colloid Hartmann's (RL) 130 4 < 2.7 109 28 Normal saline (0.9% NaCl) 154 154 Dextrose saline (4% dextrose in 0.18% saline) 30 30 Gelofusine 150 <1 150 Gelatin 4% Hemacel 145 5.1 < 6.26 145 Polygelin 75 g/L Hetastarch Hydroxyethyl starch 6% Lactated potassium saline injection (Darrow's solution) 121 35 103 53